True about integrin is -
1. Used in binding
2. Oncogene
3. Anti oncogene
4. All

Correct answer: 1. Used in binding

Explanation: Ans. is 'a' i.e., Used in bindingo Integrins are adhesion molecules on leukocytes, they help in adhesion and Transmigration of leukocytes from blood vessels.